A 41 year old woman working as an executive director is convinced that the management has denied her promotion by preparing false reports about her competence and have forged her signature on sensitive documents so as to convict her. She files a complaint in the police station and requests for security. Despite all this, she attends to her work and manages the household. She is suffering from -
1. Paranoid schizophrenia
2. Late onset psychosis
3. Persistent delusional disorder
4. Obsessive compulsive disorder

Correct answer: 3. Persistent delusional disorder

Explanation: This patient has:-

i) Delusional of persecution (Executive director conspiring against her by preparing false reports and have forged her signature).
ii) Social and occupational activities are normal (she attends to her work and manages the household).


Diagnosis is persistent delusional disorder. In paranoid schizophrenia, social and occupational activities are grossly disturbed.